Which of the following is not an inducer of CYP3A4
1. Barbiturates
2. Glucocorticoids
3. Phenytoin
4. Erythromycin

Correct answer: 4. Erythromycin

Explanation: Inducer of CYP3A4 areBarbiturates,carbamazepine,glucocorticoids,pioglitazone, phenytoin,rifampin, St. John's wort